A 5 year old child with gas under diaphragm is seen in ?
1. Enteric fever with intestinal perforation
2. Chilaiditi's syndrome
3. Iatrogenic pneumoperitoneum
4. All of the above

Correct answer: 4. All of the above

Explanation: Pneumoperitoneum:free air under the diaphram on an upright chest film suggests the presence of a bowel perforation and underlying peritonits. Enteric fever with intestinal perforation:seen in 1-3 %cases,occur in 3rd- 4th week of illness due to hyperplasia,ulceration and necrosis at the ileocecal peyer's patches at the initial site of salmonella infiltration. Ref : HARRISON'S PRINCIPLES OF INTERNAL MEDICINE,18 TH EDITION(pg no:2692)